The silver-copper eutectic alloy may be classified under which of the following?
1. 1st generation amalgam
2. 2nd generation amalgam
3. 3rd generation amalgam
4. 4th generation amalgam

Correct answer: 3. 3rd generation amalgam

Explanation: The silver-copper eutectic  alloy may be classified as the 3rd generation amalgam.
Reference: Marzouk Operative dentistry, pg-106